Which of the following group represents negative acute phase proteins
1. Transferrin, albumin, transthyretin
2. Haptoglobulin, CRP, albumin
3. Haptoglobulin, ceruloplasmin, fibrinogen
4. CRP, a-1 antitrypsin, fibrinogen

Correct answer: 1. Transferrin, albumin, transthyretin

Explanation: Answer- A. Transferrin, albumin, transthyretinAcute phase reaction (acute phase response)-1. Positive acute phase proteinsImpoant examples are C-reactive protein : CRP (Beta 1- globulin), alpha-l antitrypsin,fbrinogen, feftitin, serum amyloid A, hepatoglobulin, ceruloplasmin, and alpha-2 microglobulin.2) Negative acute phase proteinsImpoant examples are albumin, prealbumin, transferrin, transcoin, transthyretin and retinal binding protein.